A 40 year old farmer presents with chronic cough, fever, anorexia. O/E lymphadenopathy and hepatosplenomegaly present. Chest X-ray shows infiltrates, patchy opacities. Aspiration of lymph node shows intracellular yeasts. Culture grows thick walled spherical spores with tuberculate microconidia. Diagnosis
1. Cryptococcosis
2. Sporotrichosis
3. Histoplasmosis
4. Coccidioidomycosis

Correct answer: 3. Histoplasmosis

Explanation: Answer: c) Histoplasmosis (JAWETZ 27th EDITION P-679)HISTOPLASMOSIS (DARLING DISEASE)* H. capsulatum - Non capsulated intracellular fungi which infects RES* Classical histoplasmosis - caused by H.capsulatum var capsulatum - mostly involves lungs* African histoplasmosis - caused by H.capsulatum var duboisii - mostly involves skin, subcutaneous tissues and bones* Infection acquired by inhalation of microconidia* Majority of infection are asymptomatic, heal and leaves an area of miliary calcification* Disseminated disease resembling TB seen in AIDS, patients on prednisone, methotrexate, anti TNF-a agents* Granulomatous and ulcerative lesions can develop in skin and mucosa* Progressive disseminated histoplasmosis (PDH) can involve multiple organs, most commonly the bone marrow, spleen, liver, adrenal glands, and mucocutaneous membranes* Stains for Histoplasma> Lactophenol cotton blue stain - conidia> Grocott's methenamine silver stain - budding yeast> Hematoxylin and eosin stain - intracellular yeast* In tissues - yeast forms occur within phagocytes as oval budding cells* Fungal culture is the gold standard for diagnosis* Sabouraud's agar - white cottony mycelial growth with tuberculate spores or finger like projections* Treatment - Amphotericin B